At what age does a child attain a height of 100 cms?
1. 2 years
2. 3 years
3. 4 years
4. 5 Years

Correct answer: 3. 4 years

Explanation: Ans. C. 4 yearsApproximate anthropometric values by ageAGEWeight (kg)Length (cms)Head circumference (cms)Birth350346 Months6 (doubles)65431 year9 (triples)75462 years12 (quadruples)90483 years1595494 years1610050